In obesity, leptin level
1. High
2. Normal
3. Low
4. May be low to normal

Correct answer: 1. High

Explanation: Leptin is an adipocyte-derived, satiety-regulating hormone that acts within the hypothalamus and other brain sites. Obese humans and animals are largely resistant to central actions of leptin. Rising leptin levels associated with progressing obesity are generally regarded as simply a consequence rather than a causative factor in the leptin resistance and obesity. Ref: guyton and hall textbook of medical physiology 12 edition page number:811,812,813